According to Spetzler-Martin criteria, how much score is given for a 5 cm nidus with AV malformation?
1. 3
2. 4
3. 2
4. 5

Correct answer: 3. 2

Explanation: Spetzler-Martin AVM grading scale. Graded Feature Points Assigned Size of AVM < 3 cm 3-6 cm >6 cm 1 2 3 Eloquence1 of adjacent brain Noneloquent Eloquent 0 1 Venous drainage Superficial Deep 0 1 'Eloquent areas include: visual, language, and sensorimotor cortex; the thalamus and hypothalamus; the internal capsule; the brainstem; the cerebellar peduncles; and the deep cerebellar nuclei.